About narcolepsy all are true except?
1. Associated with cataplexy
2. Equal in male and female
3. NREM
4. Hypnogogic hallucinations

Correct answer: 3. NREM

Explanation: Ans. (c) NREMRef. Kaplan and sadock's 10/e, chapter 24.2